All are true about Histological variety of breast carcinoma EXCEPT:
1. Most common histological type is adenocarcinoma
2. Most common histological subtype is Invasive ductal Ca
3. Least common subtype is Papillary
4. Worst prognosis is seen in Tubular

Correct answer: 4. Worst prognosis is seen in Tubular

Explanation: Breast Cancer MC type is adenocarcinoma and most carcinoma arises from terminal duct lobular unit MC type of Ca breast: Invasive ductal (schirrous) carcinoma Least common type of Ca breast: Papillary Most malignant type of Ca breast: Inflammatory breast cancer Best prognosis is seen in: Tubular Worst prognosis is seen in:Inflammatory breast cancer